Contamination of zinc-containing amalgam by moisture
during trituration or condensation:
1. Causes a marked expansion
2. Increases the setting time
3. Results in a sharp decrease in flow
4. Has no appreciable effect on amalgam

Correct answer: 1. Causes a marked expansion